Where does the transmigration of WBCs occur in response to infectious agents?
1. Arterioles
2. Lymphatic ducts
3. Venules
4. Inflamed arteries

Correct answer: 3. Venules

Explanation: Transmigration of WBCs occurs through parts of the vasculature that have very thin walls and minimal vascular smooth muscle layers. This includes capillaries and venules.